tRNAf met would recognize:
1. AUG
2. UGC
3. GUG
4. GCU

Correct answer: 1. AUG

Explanation: A i.e. AUG